Satellite papules are characteristic of following type of leprosy:
1. Borderline Tuberculoid (BT)
2. Polar Tuberculoid (TT)
3. Borderline Lepromatous (BL)
4. Polar Lepromatous (LL)

Correct answer: 1. Borderline Tuberculoid (BT)

Explanation: Satellite papules are characteristic of Borderline Tuberculoid (BT). other characteristic feature seen in other types of leprosy. Lepromatous leprosy: cigar or cigarette appearance of cellBorderline Borderline type: inverted saucer shape/ punched out/ Swiss cheese appearance